Which one of the following is an Aldosterone antagonist?
1. Spironolactone
2. Amiloride
3. Triameterine
4. Acetazolamide

Correct answer: 1. Spironolactone

Explanation: (A) Spironolactone > Spironolactone is a steroid chemically related to the mineralocorticoid aldosterone> Spironolactone is an aldosterone antagonist.